In sipple syndrome [MEN II ) all are present except:
1. Pheochromocytoma
2. Pituitary hyperplasia
3. Medullary carcinoma thyroid
4. Parathyroid hyperplasia

Correct answer: 2. Pituitary hyperplasia

Explanation: Ans: b (Pituitary hyperplasia) Ref: Robbins, 7th ed,p. 222MEN 2a is characterized by pheochromocytoma, medullary carcinoma thyroid, and Parathyroid hyperplasia SYNDROMES MEN IMEN IIAMEN II BPituitaryParathyroidAdenomaHyperplasiaAdenomaCarcinomaHyperplasia Adrenal thyroidCortical hyperplasiaPheochromocytomaC cell hyperplasiaMedullary carcinomaPheochromocytomaC cell hyperplasiaMedullary carcinomaExtra endocrine changes MucocutaneousGanglioneuromaMarfanoid habitusMutant geneMEN IRETRETHirschsprung disease - loss of function in RET proto-oncogeneMEN IIA - a gain of function in RET proto-oncogene